All of following comes under random sampling method except
1. Simple random sampling
2. Quota sampling
3. Stratified sampling
4. Cluster sampling

Correct answer: 2. Quota sampling